A person comes in contact with other. This is called
1. Locard principle
2. Quetlets rule
3. Petty's principle
4. None of the above

Correct answer: 1. Locard principle

Explanation: A i.e. Locard's principle